A party was attended by a group of 100 people. Out of 100, 60 cases were reported to be infected with food poisoning. 12 deaths were recorded. what is the case fatality rate in above scenario?
1. 6%
2. 15%
3. 20%
4. 30%

Correct answer: 3. 20%

Explanation: Case fatality rate is: (12 deaths/ 60 cases)*100 = 20% Case fatality rate (Ratio)- (Total number of deaths due to a particular disease/Total number of cases due to the same disease)*100Case fatality rate Represents the killing power of a disease. It is typically used in acute infectious diseases (e.g. , food poisoning, cholera, measles). Case fatality is closely related to virulence